Tinea pedis is caused by which of the following ?
1. E. floccosum
2. M.furfur
3. M.canis
4. E.werneckii

Correct answer: 1. E. floccosum

Explanation: Ans. is 'a' i.e., E. floccosum T. pedis is caused by E. floccosum and T. rubrum.